Which of the following does not occur in a patient with gastrinoma -
1. Epigastric pain
2. Diarrhoea
3. Basal acid output (BAO) less than 15 mEq/litre
4. Serum gastrin levels >200 pg/ml

Correct answer: 3. Basal acid output (BAO) less than 15 mEq/litre

Explanation: Laboratory Studies in gastrinoma Due to the elusive nature of the neoplasm, the diagnosis is based on the following 3 criteria: Fasting hypergastrinemia is present (>150 pg/mL with levels >100,000 pg/mL in some patients; a serum gastrin level >1,000 pg/mL in the appropriate clinical setting is virtually diagnostic of Zollinger-Ellison syndrome ). Basal acid output (BAO) is greater than 10 mEq/h. Results from a secretin stimulation test are positive. Ref - harrison's internal medicine 20e , Medscape.com